Following are the sign/s suggestive of obstruction of urinary tract on CT Scan
1. Hyroureter
2. Perinephric stranding
3. Thickening of the lateroconal fascia
4. All the above

Correct answer: 4. All the above

Explanation: Ans. is 'd' i.e., All the above CT Scan in Urolithiasis* Nonenhanced CT has been accepted as the imaging modality of choice in the radiologic evaluation of patients suspected of having urolithiasis.* CT is superior to other imaging modalities in the diagnostic accuracy and assessment of their characteristics.* The most direct sign of ureterolithiasis is the stone within the ureteral lumen, with proximal ureteral dilatation and normal distal caliber.* Other favorable secondary signs at CT are: Hydroureter, hydronephrosis, perinephric stranding, periureteral edema and unilateral renal enlargement.* Less reliable findings include unilateral absence of the white renal pyramid, thickening of the lateroconal fascia, and perinephric edema.* Differences in the renal parenchymal attenuation between obstructed and nonobstructed kidneys have also be used as the secondary sign of obstruction.